Ideal urine specimen for anerobic culture should be ?
1. Mid stream urine sample
2. First few drops at morning
3. Sample by foley's catheter
4. Sample by suprapubic aspiration

Correct answer: 4. Sample by suprapubic aspiration

Explanation: Ans. is 'd' i.e., Sample by suprapubic aspiration Suprapubic aspiration is the preferred method of urine collection when anaerobic bacteria are suspected as cause of UTI.